First lumbrical canal communicates with
1. Adductor space
2. Midpalmar space
3. Thenar space
4. Hypothenar space

Correct answer: 3. Thenar space

Explanation: Thenar space communicates with first web space through first lumbrical canal.The midpalmar space communicates with medial 3 web spaces through medial 3 lumbrical canals.Reference: Textbook of anatomy upper limb and thorax, Vishram Singh, second edition, page no 154, 153